Beta-blockers are used in all of the following except:
1. Essential tremors
2. AV block
3. Angina pectoris
4. Migraine prophylaxis

Correct answer: 2. AV block

Explanation: Ans. B: AV Block Indications for beta blockers include: Angina pectoris Atrial fibrillation Cardiac arrhythmia Congestive heart failure Essential tremor Glaucoma Hypertension Migraine prophylaxis Mitral valve prolapse Myocardial infarction Phaeochromocytoma, in conjunction with alpha-blocker Symptomatic control (tachycardia, tremor) in anxiety and hyperthyroidism Dissecting aneurysm Hypertrophic obstructive cardiomyopathy Propranolol is contraindicated in partial and complete heart block: arrest may occur. Drugs used for AV block are: Atropine Sympathomimetics (Adrenaline, isoprenaline)